Which of the following structure does not pass through the parotid gland ?
1. Facial artery
2. Facial nerve
3. Retromandibular vein
4. External carotid artery

Correct answer: 1. Facial artery

Explanation: Facial artery does not pass within the parotid gland. Structures passing through parotid gland are: External carotid artery Retro-mandibular vein Sympathetic plexus Facial nerve Passes in the middle of gland Do not supply parotid gland Creates a surgical plane - Deep : Lymph node are less - Superficial : Lymph node are more